A 40 year old female presents with fever, faigue, diffuse painful swelling in the midline of the neck, FNAC of the same reveals epithelioid cells and giant cells, the likely diagnosis is
1. Acute thyroiditis
2. Subactue thyroiditis
3. Tubercular lymphadenitis
4. Hashimotos thyroiditis

Correct answer: 2. Subactue thyroiditis

Explanation: Painful midline diffuse swelling in neck with fever and fatigue points to thyroiditis. In sub acute granulomatous thyroiditis (De Quervain's thyroiditis) there is the presence of multinucleated giant cells composed of epitheloid cells. De Quervain's thyroiditis : May follow a viral infection. In a typical subacute presentation, there is pain in the neck, fever, malaise and a firm, irregular enlargement of one or both thyroid lobes. Note : Gaint cells and epithelioid cells are seen in any granulomas, not just tuberculosis. Caseation is hall mark of TB granulomas. Source : Bailey and Love 26th edition Pg : 771